Variable portion of antibody molecule is -
1. C-terminal
2. N-terminal
3. Intermediate region
4. Carbohydrate moiety

Correct answer: 2. N-terminal

Explanation: Question repeated